Features of systemic sclerosis are -
1. Calcinosis
2. Sclerodactyly
3. Melanin deposition
4. All of the above

Correct answer: 4. All of the above